The factor responsible for the left shift of HbO2 dissociation curve is
1. Increase in 2,3 DPG in RBC
2. Fall in temp
3. Fall in pH
4. Increase level of CO2 in blood

Correct answer: 2. Fall in temp